Which of the following factor is mainly responsible for virulence in Streptococcus -
1. Carbohydrate
2. Streptokinase
3. Streptodornase
4. M protein

Correct answer: 4. M protein